which of the following is type of paranoid diosrder
1. suspisiosness
2. odd and excentric
3. punctuality, perfectionism
4. magical thinking

Correct answer: 1. suspisiosness

Explanation: * PARANOID * Misinterpret the words and action of others * Mistrust people * Suspisious * question the loyalty of friends, or fidelity of spouse * Quarrelsome * Litigious Morbid jealousy Ref.kaplon and Saock,synopsis of psychiatry, 11 th edition, pg no.745